Which of the following drugs has been recently approved for treatment of prostate cancer?
1. Leuprolide
2. Goserelin
3. Abarelix
4. Degarelix

Correct answer: 4. Degarelix

Explanation: Ans. (D) Degarelix(Ref: CMDT 2015/1624)Degarelix is a GnRH antagonist, that has recently been approved for advanced prostate cancer.GnRH agonists like leuprolide and goserelin are being used in prostate cancer since many years.Docetaxel is first cytotoxic agent that improve survival in patients with hormone-refractory prostate cancer.Sipulecel-T is an immunotherapy recently approved for prostate cancer.Other drugs for prostate cancer are:CabazitaxelAbirateroneEnzalutamideRadium-223 dichloride